The role of plasmids in conjugation was first described by Lederberg and Tatum(46) in -
1. H.influenzae
2. Corynebacterium
3. Pseudomonas
4. Esch.Coli

Correct answer: 4. Esch.Coli